Gout can be precipitated by -
1. Calcium channel
2. Omeprazole
3. Thiazide diuretics
4. Digitalis

Correct answer: 3. Thiazide diuretics